Paroxysmal hypotension is seen in -
1. Carcinoid syndrome
2. Lymphoma
3. Leukemia
4. Infectious mononucleosis

Correct answer: 1. Carcinoid syndrome